All of the following statements about Churg Strauss Syndrome are true, except:
1. Marked Eosinophilia
2. Mononeuritis multiplex is common
3. Renal failure is common
4. Often associated with Allergic Rhinitis

Correct answer: 3. Renal failure is common

Explanation: Answer is C (Renal failure is common): Churg Strauss Syndrome is not prominent and renal failure is rare. The Renal disease in Churg Strauss Syndrome is less common and generally less severe than with granulomatosis with polyangitis (Wegener's) and microscopic polyangitis '- Harrison's 18th/2793 'Renal failure is rare in Churg Strauss syndrome - Pulmonary Involvement in Systemic Autoimmune Disease